Most common site of osteoporosis-
1. Humerus
2. Vertebrae
3. Scapula
4. Flat bones

Correct answer: 2. Vertebrae

Explanation: Most common site of osteoporosis is vertebrae.